Fluoroquinolone contraindicated in liver disease is
1. Levofloxain
2. Pefloxacin
3. Ofloxacin
4. Lemefloxacin

Correct answer: 2. Pefloxacin

Explanation: Dose ofpefloxacin needs to be reduced in liver disease, but not in renal insufficiency. FQs c/I in renal failure except P - Pefloxacin M -Moxifloxacin T - Trovafloxacin